All are true regarding capillaries except:
1. Have large total cross-sectional area
2. Contain larger quantity of blood than veins
3. Site of gaseous exchange
4. Lined by endothelium

Correct answer: 2. Contain larger quantity of blood than veins

Explanation: B i.e. Contains larger quantities of blood than veins